Oldest component of lens of the eye is
1. Anterior capsule
2. posterior capsule
3. Nucleo cortical Junction
4. nucleus

Correct answer: 4. nucleus

Explanation: Nulceus is the oldest part of lens Refer Khurana 6th edition pg no191